Surgical recontouring of alveolar ridges is called as
1. Atveoloplasty
2. Alveolectomy
3. Mucogingivectomy
4. Fiberectomy

Correct answer: 1. Atveoloplasty